To prevent which of the following condition, dexamethasone injection is given to a lady of 32 weeks pregnancy?
1. Cerebral palsy
2. Neonatal jaundice
3. Neonatal convulsion
4. Respiratory Distress Syndrome

Correct answer: 4. Respiratory Distress Syndrome

Explanation: Antenatal maternal steroid injection at < 32weeks gestation is associated with a 60% reduction in the risk of respiratory distress syndrome. In such cases 12 mg betamethasone is given intramuscularly in 2 doses 24 hours apart. Steroids act on type II pneumocyte and stimulate surfactant synthesis. Ref: Textbook of gynecology by D C Dutta 4th Edition, Page 474-5 ; Obstetrics and Gynaecology By Sarabatnam Arulkumaran, Page 351.